Commonest manifestation of retinoblastoma is
1. Pseudohypopyon
2. Leukocoria
3. Squint
4. Nystagmus

Correct answer: 2. Leukocoria

Explanation: (Refer: AK Khurana Comprehensive Ophthalmology, 6th edition, pg no. 303) Leukocoria or amaurotic cat's eye reflex this is the most common manifestation. The leukocoria or the white glow in the pupil is caused by reflection of light from the white intraocular tumor Leukocoria. Leukocoria (also white pupillary reflex) is an abnormal white reflection from the retina of the eye. Because of the potentially life-threatening nature of retinoblastoma, a cancer, that condition is usually considered in the evaluation of leukocoria.